Most common cause of hereditary spherocytosis?
1. Actin
2. Glycophorin
3. Spectrin-Ankyrin complex
4. Band 4

Correct answer: 3. Spectrin-Ankyrin complex

Explanation: About 60% of HS cases results from a defect in the ankyrin-spectrin complex , with genes for a or b subunits of spectrin dimer (SPTA1 ,SPTB) or for ankyrin (ANK1)being implicated in diff genetic type. 25% ~> involve deficiency in band 3, the anion channel. Ref:Postgraduate Hematology by Victor Hoffbrand ,pg:131 Ref Robbins 9/e pg 412